Which is Not required for visualisation of gall bladder in oral cholecystography -
1. Functioning liver
2. Motor mechanisms of gall bladder
3. Patency of cystic duct
4. Ability to absorb water

Correct answer: 2. Motor mechanisms of gall bladder